Skeletal derivative of Ist arch ?
1. Stapes
2. Hyoid
3. Maxilla
4. Laryngeal cortilages

Correct answer: 3. Maxilla

Explanation: Maxilla